Which of the following are not included in GCS-PA CT?
1. Pupils
2. Arrhythmia
3. CT
4. GCS

Correct answer: 2. Arrhythmia

Explanation: GCS-P GCS-PA CT - GCS-P Is calculated by subtracting the pupil reactivity score (PRS) from the Glasgow Coma Scale (GCS) total score: GCS-P = GCS - PRS - Pupil reactivity score represents the number of nonreactive pupils (0,1, or 2) - This number is subtracted from the GCS score (3-15), resulting in the GCS-P (1-15) Pupils unreactive to light PRS Both pupils 2 One pupil 1 Neither pupil 0 Note: Higher score is assigned to non-reactive pupils - GCS-PA CT: GCS pupilis, Age & CT findings - Probability of mortality 6 months after head injury based on the patient's admission GCS-P and age with no CT abnormality (A), exactly 1 CT abnormality (B) and 2 or more CT abnormalities (C). - Potential CT abnormalities includes intracranial hematoma, absent cisterns & SAH